Which of the following is action of insulin ?
1. Gluconeogenesis
2. Increased glucose uptake in muscle
3. Glycogenolysis
4. Increased glucose uptake in endothelium

Correct answer: 2. Increased glucose uptake in muscle

Explanation: Ans. is 'b' i.e., Increased glucose uptake in muscleInsulin is a hypoglycemic and anabolic hormone Immediate effects of insulin:Immediate effects of insulin include the effect of insulin on causing glucose and potassium uptake into cells, Insulin stimulates glucose uptake into cells by Stimulating GLUT4 transporter up regulation across the membranes of skeletal muscle, cardiac muscle and adipose tissueStimulating glucokinase in liver. As glucokinase is stimulated in liver, glucose in liver is converted to glucose 6 phosphate. This reduces glucose level within hepatocytes. This stimulates further glucose uptake into hepatocytes